The bone matrix has the following crystals
1. Calcium hydroxyapatite
2. Calcium pyrophosphate
3. Calcium phosphate
4. Calcium sulphate

Correct answer: 1. Calcium hydroxyapatite

Explanation: The bone is made up of bone cells and extracellular matrix.The matrix consists oftwo types of materials,organic and inorganic. The organic matrix is formed by the collagen,which forms 30-35% of dry weight of a bone. The inorganic matrix is primarily calcium and phophorus salts,especially hydroxyapatite .It constitutes about 65-70% of dry weight of a bone. ref:maheswari,5th edition page no.9